Trench fever is caused by,
1. Rickettsia prowazekii
2. Coxiella Burnetii
3. Bartonella quintana
4. Rickettsia akari

Correct answer: 3. Bartonella quintana